Intestinal angina is a symptom complex of the following-
1. Postprandial abdominal pain, weight loss, acute mesenteric vessel occlusion
2. Postprandial abdominal pain, weight loss, chronic mesenteric vessel occlusion
3. Preprandial abdominal pain, weight loss, chronic mesenteric vessel occlusion
4. Preprandial abdominal pain, weight gain acute mesenteric vessel occlusion

Correct answer: 2. Postprandial abdominal pain, weight loss, chronic mesenteric vessel occlusion